'Velcro' crackles are heard in:
1. Lung cancer
2. Pneumothorax
3. Pulmonary fibrosis
4. Pleural effusion

Correct answer: 3. Pulmonary fibrosis

Explanation: Diseases that result in fibrosis of the interstitium (e.g., IPF) also result in crackles that sound like Velcro being ripped apart.